Immuno-proliferative lymphoma presents with?
1. Chronic diarrhea
2. Obstruction
3. Peritonitis
4. Tenesmus

Correct answer: 1. Chronic diarrhea

Explanation: Immunoproliferative small intestinal disease (IPSID), is a B cell tumor. The presentation includes chronic diarrhoea, steatorrhea associated with vomiting and abdominal cramps. IPSID presents with intestinal secretions of an abnormal IgA that contains a shortened heavy chain and is devoid of light chains. It is suspected that the abnormal chains are produced by plasma cells infiltrating the small bowel. The clinical course is one of exacerbations and remissions, with death due to malnutrition and wasting or the development of a lymphoma.